Buerger's disease affects all except
1. Lymphatic’s
2. Small vessels
3. Nerves
4. Veins

Correct answer: 1. Lymphatic’s